True about low molecular weight heparin except:
1. Predictable bioavailability
2. Inhibit factor Ela and Xa
3. Favorable pharmacokinetics
4. PT, apt monitoring not required.

Correct answer: 2. Inhibit factor Ela and Xa

Explanation: Ans. B. Inhibit factor IIa and XaLow molecular weight is sensitive to factor Xa. It has better bioavailability. Its response is predictable therefore monitoring of PT is not required. Example are- dalteparin, enoxaparin.